Angiofibroma bleeds profusely because:
1. It has multiple sites of origin
2. It lacks a capsule
3. Vessels lack a contractile component
4. None of the above

Correct answer: 3. Vessels lack a contractile component

Explanation: Angiofibroma is made of vascular and fibrous tissues vessel are endothelial lined spaces with no elastic or muscle coat vessels lose ability to contract , thus bleed profusely